True about OPV strain -
1. Grows well at 40° C
2. Grows well at decreaase concentration of bicarbonate
3. Nucleotide sequencing does not distinguish between wild strain and vaccine strain
4. Poor growth in stable cell line of monkey kidney

Correct answer: 4. Poor growth in stable cell line of monkey kidney